Patient presents with peritonitis and during surgery diverticula perforation is seen with purulent contamination What is Hinchey's stage ?
1. 1
2. 2
3. 3
4. 4

Correct answer: 3. 3

Explanation: ref : bailey and love 27th ed